Gaucher's disease is due to deficiency of enzyme -
1. Sphingomyelinase
2. b-Glucosidase
3. Hexosaminidase-A
4. b-Galactosidase

Correct answer: 2. b-Glucosidase

Explanation: Ans. is 'b' i.e., b-glucosidase DiseaseEnzyme deficiencyLipid accumulatedTay-sach diseaseHexosaminidase AGM2 gangliosideSandoff diseaseHexosaminidase BGM2 gangliosideNiemann-Pick diseaseSphingomyelinaseSphingomvelineFarber's diseaseCeramidaseAcyl-sphingosine (ceramide)Fabry's diseasea-galactosidaseGlobotrisylceramideKrabbe's diseaseb-galactosidase (Galactosylceramidase)GaiactosylceramideGaucher's diseaseb-glucosidase (glucocerebrosidase)GlucosylceramideMetachromatic leukodystrophyArylsulfatase A3-Sulfogalactosylceramide